. 35 year old mother of two children is suffering from amenorrhea from last 12 month. She has a history of failure of lactation following second delivery but remained asymptomatic thereafter. Skull X-ray shows empty sella diagnosis is:
1. Menopause
2. Pituitary tumor
3. Sheehan's syndrome
4. Intraductal papilloma of breast

Correct answer: 3. Sheehan's syndrome